Bishop's classification is used for:
1. Progress of labour
2. Requirement of induction for labour
3. Gestational age of fetus
4. Fetal well bein

Correct answer: 2. Requirement of induction for labour

Explanation: Ans. B: Requirement of induction for labour